Drug which does not interfere with folic acid metabolism?
1. Phenytoin
2. Gabapentin
3. Phenobarbitone
4. Primidone

Correct answer: 2. Gabapentin

Explanation: Ans. is `b' i.e., Gabapentin Drugs causing folate deficiency Interference with folic acid absorption Phenytoin Sulfasalazine Cotrimoxazole Inhibition of dihydrofolate reductase: Methotrexate Trimethoprim Triamterene Pentamidine Pyrimethamine Primidone Phenobarbitone Impair folate metabolism Alcohol